In deep incised wounds, Langer's lines determine-
1. Direction
2. Gaping
3. Shelving
4. Healing

Correct answer: 2. Gaping

Explanation: Langer's lines determine gaping of wound. Gaping is more when the skin is cut across the Langer's line.